All of the following causes decrease in BP except
1. Inhibition of vasomotor centre
2. Disinhibition of vasomotor center
3. Vagal center Stimulation
4. Sympathetic inhibition

Correct answer: 2. Disinhibition of vasomotor center

Explanation: Vasomotor discharges affect autoregulation.With sympathetic stimulation, the constant-flow, or plateau, part of the pressure-flow curve is extended to the rightThat is, greater increases in pressure can occurSo, inhibition of vasomotor centre decreases sympathetic drive which results in decreased blood pressure. Vagal stimulation (parasympathetic) or sympathetic inhibition too have similar resultsRef: Ganong's Review of Medical Physiology Twenty-Third Edition Page No: 575